When two objects come in contact, an exchange of trace material takes place. This is known as:
1. Galton exchange
2. Locard exchange principle
3. Beillion system
4. Hasse rule

Correct answer: 2. Locard exchange principle

Explanation: Ans. Locard exchange principle